Which one of the following is not a feature of irritable bowel syndrome -
1. Abdominal pain
2. Constipation
3. Rectal bleeding
4. Bloating

Correct answer: 3. Rectal bleeding

Explanation: Clinical features The most common presentation is that of recurrent abdominal discomfort . This is usually colicky or cramping in nature, felt in the lower abdomen and relieved by defecation. Abdominal bloating worsens throughout the day; the cause is unknown but it is not due to excessive intestinal gas. The bowel habit is variable. Most patients alternate between episodes of diarrhoea and constipation but it is useful to classify them as having predominantly constipation or predominantly diarrhoea. Those with constipation tend to pass infrequent pellety stools, usually in association with abdominal pain or proctalgia. Those with diarrhoea have frequent defecation but produce low-volume stools and rarely have nocturnal symptoms. Passage of mucus is common but rectal bleeding does not occur. Patients do not lose weight and are constitutionally well. Physical examination is generally unremarkable, with the exception of variable tenderness to palpation . Ref Davidson edition23rd pg 825